A 27-year old primigravida presented to the OPD with pregnancy induced hypertension at 32 weeks of gestation. She had no other complications. On examination she had a blood pressure of 150/100 mm of Hg. Her blood pressure was later controlled with treatment. lf there are no complications, the pregnancy should be terminated at?
1. 40 completed weeks
2. 37 completed weeks
3. 36 completed weeks
4. 34 completed weeks

Correct answer: 2. 37 completed weeks

Explanation: 37 weeks Ref : Dutta book of obstetrics 8th Ed